Oxygen - Hemoglobin dissociation curve is shifted to left by -
1. Acidosis
2. Alkalosis
3. Hyperthermia
4. Anaemia

Correct answer: 2. Alkalosis

Explanation: Ans. is 'b' i.e., Alkalosis Oxygen dissociation curve Shifted to right Shifted to left o Decreased oxygen affinity to hemoglobin o Increased P50 o Increased oxygen delivery to tissues o Causes : # Decreased pH (Acidosis) # Increased temperature # Increased PCO2 # Increased 2, 3 DPG (BPG) i) Growth hormone, Androgen, thyroid hormone ii) Exercise iii) Tissue hypoxia iv) High altitude v) Anemia vi) Alkalosis vii) Cyanotic CHD viii) Pregnancy ix) Chemicals: Inosine, Pyruvate, PEP, phosphate # Sickle hemoglobin (HbS) o Increased oxygen affinity to hemoglobin o Decreased P50 o Decrease oxygen delivery to tissues o Causes : # Increased pH (alkalosis) # Decreased temperature # Decreased PCO2 # Decreased 2,3 DPG (BPG):-Stored blood # Fetal hemoglobin (HbF)